Spider leg sign on IVP suggests:
1. Renal stone
2. Polycystic kidney
3. Hypernephroma
4. Hydronephrosis

Correct answer: 2. Polycystic kidney

Explanation: Ans. (b) Polycystic kidneyRef: Radiological and imaging secrets 2nd ed. / 79* Polycystic kidney autosomal dominant and recessive forms multiple cysts that deform the pelvi-calyceal system resulting in spider leg sign.* MC extra -renal malformation in polycystic kidney disease = hepatic cysts* MC Cardiac malformation in polycystic kidney disease = mitral valve prolapse* MC GIT malformation in polycystic kidney disease= colonic diverticulosisAlso KnowREMEMBER THESE IMPORTANT RADIOLOGICAL SIGNS IN UROLOGY* Spider leg appearance--polycystic kidney* Cobra head appearance--ureterocele* Flower vase appearance of ureters--horse shoe kidney* Sandy patches--schistosomiasis of bladder* Soap bubble appearance---hydronephrosis